Which of the following cranial nerve carries parasympathetic fibers?
1. CN 1
2. CN 2
3. CN 3
4. CN 4

Correct answer: 3. CN 3

Explanation: Ans. C CN 3Ref: Netter's Atlas of Neurosciences, pg. 265The cranial nerves carrying parasympathetic fibers are 3, 7, 9, 10.Extra Mile* CN having longest intraosseous courseFacial nerve* CN having longest extracranial courselVagus nerve* Thinnest and most slender cranial nerve* Only one to originate from the dorsal surface* Longest intracranial courseTrochlear* Thickest and largest cranial nerve* Largest branch of trigeminal is mandibular nerve.TrigeminalFalse localising sign in raised ICP AbducensLongest intra-osseus course FacialCranial nerve with both motor and sensory cssomponents5,1, 9, 10